Posterior capsular cataract is treated by which laser?
1. Argon laser
2. CO2 laser
3. Excimer
4. Nd YAG

Correct answer: 4. Nd YAG

Explanation: Ans. (d) Nd YAGRef: Khurana 4/ey p 431